Prosopagonsia is -
1. Inability to recognize familier face
2. Impaired calculation
3. Inability to recognine objects by feeling
4. Onawareness of neurological deficity

Correct answer: 1. Inability to recognize familier face

Explanation: Ans. is 'a' i.e., Inability to recognize familier face o Prosopagnosia (face blindness): Inability to recognize known people by faces.o Dyscalculia:- Impaired ability to perform mathematical calculations.o Agnosia:- Inability to recognize objects by a particular sensory modality even though the sensory modality itself is intact.o Astereognosis:- Inability to recognize object by feeling them.o Anosognosia:- Unawareness or denial of disability or neurological deficit.o Dvsgraphia or agraphia:- Deficiency in the ability to write, regardless of ability to read.